Prevertebral space thickness in adult at C6-C7 level is
1. 7mm
2. 15mm
3. 22mm
4. 30mm

Correct answer: 3. 22mm

Explanation: Upper limits of prevertebral space thickness varies with the cervical vertebral level in an adult as follows : At C1 level : 10 mm At C2 level : 5 mm At C3 level : 7 mm At C5 level : 22 mm At C6-C7 level : 22 mm